Adenoidectomy is contraindicated in:
1. Large adenoids
2. Large tonsils
3. Cleft lip
4. Cleft palate

Correct answer: 4. Cleft palate

Explanation: (d) Cleft palate(Ref. Scott Brown, 6th ed., 6/18/12)Adenoidectomy in a child with cleft palate will lead to nasopharyngeal/velopharyngeal insufficiency so it is a contraindication.Large adenoids causing complications as discussed in the text is an indication of adenoidectomy.In a child who is simultaneously suffering due to large tonsils, tonsillectomy is done along with adenoidectomy in the same sitting.Cleft lip does not lead to nasopharyngeal/ velopharyngeal insufficiency after adenoidectomy.